Kala azar is spread by –
1. House–fly
2. Black–fly
3. Sand–fly
4. Tsetse–fly

Correct answer: 3. Sand–fly